D-tubocurarine acts by -
1. Inhibiting nicotinic receptors at myoneural junction
2. Inhibiting nicotinic receptors at autonomic ganglion
3. Producing depolarizing block
4. By inhibiting reuptake of acetylcholine

Correct answer: 1. Inhibiting nicotinic receptors at myoneural junction

Explanation: Ans. is 'a' i.e., Inhibiting nicotinic receptors at myoneural junction o D-tubocurarine is a skeletal muscle relaxant that acts by competitive inhibition of NM receptors at neuron-muscular junction.